Maximum incidence of impotance is seen in the patients with following anti hypertensive drug
1. CCBs
2. Beta blockers
3. ARBs
4. ACE inhibitor

Correct answer: 2. Beta blockers

Explanation: Common side effects of beta blockers include: Dizziness. Weakness. Drowsiness or fatigue. Cold hands and feet. Dry mouth, skin, or eyes. Headache. Upset stomach. Diarrhea or constipation. Refer kDT 6/e p139